Fracture upper third of ulna with proximal radioulnar dislocation is:
1. Monteggia
2. Galeazzi
3. Barton
4. Colie

Correct answer: 1. Monteggia

Explanation: Ans: a (Monteggia ) Ref: Maheswari, 3rd edSome of the common named fractures:Jefferson - Burst atlas (Cl)Hangman- axis (C2) through pedicle and lamina with subluxation C2 over C3Clay shovellers - avulsion spinous process of lower cervical/ upper thoracicMonteggia - proximal third ulna + dislocation head of radiusGaleazzi - distal half of radius + dislocation of distal radioulnar jointChauffer- radial styloid processColie- distal end of radius at cortico-cancellous junction with dorsal tiltSmith - Reverse of Colle fractureBarton - distal articular surface of radius extending to its anterior or posterior cortices.Rolando - base of 1st metacarpal extraarticularBennet- base of 1st metacarpal intra articularNight stick- Isolated of shaft of ulnaBoxers - neck of 5th metacarpalMallet finger- avulsion/ rupture exterior tendon at base of distal phalanxAviators - neck of talusBumper- Comminuted lateral condyle tibiaPotts - Bimalleolar ankleCotton - Trimalleolar ankleMarch- Stress shaft 2nd metatarsalJones - base of 5th metatarsalChance - Seat belt injury, horizontal body of vertebraStraddle - B/l superior and inferior pubic ramiMalgaigne - Combination pelvic- pubic rami anteriorly; sacro iliac posteriorly